Mechanism of action of Exenatide:
1. SGLT inhibitor
2. GLP-1 Analogue
3. DPP4 inhibitor
4. AMP kinase inhibitor

Correct answer: 2. GLP-1 Analogue

Explanation: Ref: Goodman & Gillman 13th ed. P 877* GLP-1 analogue drugs are: Exenatide, Liraglutide, Albiglutide, Dulaglutide, Lixisenatide* These agents activate the GLP-1 receptor - Increased insulin biosynthesis and release* These agents are resistant to degradation by DPP4 enzyme - Has extended activity following injection.* Side effect: Nausea, vomiting, Pancreatitis Properties of insulin secretagoguesClass Generic nameDaily Dosage (mg)Duration of Action (hours or dosing frequency)SulfonylureasGlimepiride1-824Glipizide5-4012-18Glipizide (extended release)5-2024Glyburide1.25-2012-24Glyburide (micronized)0.75-1212-24Nonsulfonylureas (Meglitinides)Nateglinide180-3602-4Repaglinide0.5-162-6GLP-1 AgonistsAlbiglutide30-50WeeklyDulaglutide0.75-1.5WeeklyExenatideb2WeeklyLiraglutide0.6-1.8DailyLixisenatide0.010-0.020DailyDipeptidyl Peptidase-4 InhibitorsAlogliptin25DailyLinagliptin5DailySaxagliptin2.5-5DailySitagliptin25-10012-16Vildagliptin50-100Twice daily